Dust free alginate is
1. Alginate + Glycol
2. Alginate + Glycerol
3. Both
4. None

Correct answer: 3. Both